Not an indication for percutaneous aspiration in amoebic liver abscess
1. Radiographically unresolved lesion after 6 months after 6 months
2. Suspected diagnosis
3. Left lobe liver abscess
4. Compression or outflow obstruction of hepatic or portal vein

Correct answer: 1. Radiographically unresolved lesion after 6 months after 6 months

Explanation: Amoebic liver abscess Although clinical improvement after adequate treatment with antiamoebic agents is the rule, radiologic resolution of the abscess cavity is usually delayed The average time to radiologic resolution is 3 to 9 months and can take as long as years in some patients Studies have shown that more than 90% of the visible lesions disappear radiologically, but a small percentage of patients are left with a clinically irrelevant residual lesion Ref: Sabiston 20th edition Pgno : 1452